Birdshot retinopathy is characterized by all except
1. Common in females
2. Unilateral
3. HLA A29 positive
4. Creamy yellow spots

Correct answer: 2. Unilateral

Explanation: It is a rare, idiopathic, bilaterally symmetrical chronic multifocal chorioretinitis characterized by numerous flat creamy-yellow spots due to focal chorioretinal hypopigmentation, resembling the pattern of 'birdshot scatter from a shotgun'. The disease, more common in females than males, typically affects middle-aged healthy persons who are positive for HLA-A29. It runs a long chronic course of several years. Birdshot chorioretinopathy, also known as birdshot uveitis, birdshot retinopathy, or HLA-A29 uveitis, is an uncommon chronic posterior uveitis characterized by vitritis and multiple ovoid spots, which are orange to cream in color and hypopigmented Treatment with corticosteroids is usually not effective. Ref: Khurana; 4th edition; Pg.No.161